Risk of ovarian carcinoma with BRCA 1 and BRCA 2 mutation is:
1. <5%
2. 10%
3. 30%
4. 60%

Correct answer: 3. 30%

Explanation: The risk of ovarian cancer in BRCA1 and BRCA2 mutation carriers ranges from 20 to 40%, which is 10 times higher than that in the general population. Prophylactic oophorectomy is a reasonable prevention option in mutation carriers. The American College of Obstetrics and Gynecology recommends that women with a documented BRCA1 or BRCA2 mutation consider prophylactic oophorectomy at the completion of childbearing or at the time of menopause Ref: Schwartz's principle of surgery 9th edition, chapter 17.